A patient presented with vomiting, pain in abdomen, jaundice and encephalopathy. There is a history of attempt to commit suicide. Poisoning suspected:
1. Benzodiazepines
2. Paracetamol
3. Organophosphorus
4. Acetylsalicylic acid

Correct answer: 2. Paracetamol

Explanation: Ans. Paracetamol